A person taking tricyclic antidepressants presents with blurred vision and dry mouth. These adverse effects result due to blockade of:
1. M3 muscarinic receptors
2. GABAA receptors
3. H1 histamine receptors
4. 5HT2 receptors

Correct answer: 1. M3 muscarinic receptors

Explanation: Ans. (A) M3 muscarinic receptors(Ref: KDT 8/e p486)Anticholinergic adverse effects of TCAs include dry mouth, constipation, blurring of vision, urinary retention, etc.